Which of the following findings characterize lower reference limits in a normal semen sample?
1. Volume >2ml
2. Sperm concentration of 40 million per mL
3. 30% normal sperm morphology
4. 32% progressive sperm motility

Correct answer: 4. 32% progressive sperm motility

Explanation: The WHO Semen parameters are as follows: Parameter Lower Reference Limit Semen volume (ml) 1.5 Sperm concentration (106/ml) 15 Total sperm number (106/ejeculate) 39 Progressive motility (PR, %) 32 Total motility (PR+NP, %) 40 Vitality (live sperms, %) 58 Sperm morphology (NF, %) 4 pH* >/=7.2 Leucocyete* (106/ml) <1 MAR/Immunobead test*(%) <50